Citelli's abscess is
1. Drained through external meatus
2. Formed over occipital bone
3. Presents as upper neck swelling
4. Retroorbital abscess

Correct answer: 2. Formed over occipital bone

Explanation: Ans. is 'b' i.e., Formed over occipital bone Abscesses related to mastoid infection* Acute mastoiditis can be complicated by following abscesses:-1) Postauricular abscess:- This is the commonest subperiosteal abscess associated with acute mastoiditis. It occurs lateral to the cortex of mastoid in MacEwen's triangle.2) Bezold abscess: - Pus passes through mastoid tip(UP06) and presents as upper neck swelling. The abscess may:-i) Lies deep to stemocleidomastoid(DNB 07, A1IMS 92)ii) Follow the posterior belly of diagastric and presents swelling between mastoid tip and angle of jaw.iii) Be present in posterior triangleiv) Reach the parapharyngeal pouchv) Track down along the carotid vessels.3) Zygomatic abscess: - Infection of zygomatic air cells.4) Meatal (Luc's) abscess: - Pus passes between the antrum and external osseous meatus.5) Citelli's abscess : - Abscess is formed behind the mastoid more towards occipital bone. Some consider it as abscess of diagastric triangle.6) Parapharyngeal and retropharyngeal abscess.